According to the Glasgow Coma Scale (GCS), a verbal score of 1 indicates:
1. No response
2. Inappropriate words
3. Incomprehensible sounds
4. Disoriented response

Correct answer: 1. No response

Explanation: On trying to rouse the patient by asking a simple question, no response is given a score of 1 under the GCS scale. Ref: Teasdale G, Jennett B. Assessment of Coma and Impaired Consciousness. Lancet 1974, Pages 81-84; Teasdale G, Jennett B. Assessment and Prognosis of Coma after Head Injury. Acta Neurochir 1976, Pages 34, 45-55